During prolonged fasting, rate of gluconeogenesis is determined by:
1. Essential fatty acid in liver
2. Alanine in liver
3. Decreased cGMP
4. ADP in liver

Correct answer: 2. Alanine in liver

Explanation: Ans. B. Alanine in liver(Ref: Harpers 29/e page 160, Harper 31/e page 172)Major Substrates for GluconeogenesisQGlucogenic Amino Acid LactateGlycerolPropionate (Major contributor in Ruminants)